Telefono is:
1. Pulling of hair
2. Beating on soles
3. Beating on ears
4. Beating on fingers

Correct answer: 3. Beating on ears

Explanation: Simultaneous beating of both ears with the palms of the hands is known as TELEFONO. This may lead to rupture of the tympanic membrane causing pain, bleeding and hearing loss. It is difficult to detect this. The external ear may also get torn during pulling of the ears.